Pathognomic feature of hyperparathyroidism:
1. Pathognomic feature of hyperparathyroidism:
2. Loss of Lamina dura
3. Brown's tumor
4. Sub periosteal resoption of phalynges

Correct answer: 4. Sub periosteal resoption of phalynges

Explanation: D i.e. Subperiosteal resorption of bone (phalynges) Very interestingQ friends as all the options are the features of hyperparathyroidism but they are asking about the hallmark or characteristic feature which is ? Subperiosteal Erosion of bone, particularly radial aspect of middle phalynx of middle & index finger.Q